ACL prevents
1. Anterior displacement of fibula
2. Posterior displacement of tibia
3. Anterior displacement of femur
4. Posterior displacement of femur

Correct answer: 4. Posterior displacement of femur

Explanation: Anterior cruciate ligament prevents Posterior dislocation of femur on tibia Anterior displacement of tibia on femur Ref: Gray's Anatomy The Anatomical Basics of Clinical Practice 41 e pg 1394.